Which nerve does not supply gluteal region
1. Sciatic nerve
2. Superior gluteal nerve
3. Inferior gluteal nerve
4. Nerve to obturator internus

Correct answer: 1. Sciatic nerve

Explanation: Ans. a. Sciatic nerveSciatic nerve does not supply gluteal region.Superior gluteal nerve supplies Gluteus medius and minimusdeg and tenor fascia lata. Inferior gluteal nerve supplies Gluteus maximusdeg.Nerve to obturator internus supplies Obturator internus and Gamellus superiordeg.Muscles of Gluteal regionNerve SupplyGluteus MaximusInferior gluteal nerve (L5, Sl, S2)Gluteus MediusSuperior gluteal nervedeg (L4, L5, S1)Gluteus MinimusSuperior gluteal nervedeg (L4, L5, S1)Tensor fascia lataSuperior gluteal nervedeg (L4, L5, Si)Gamellus superiorNerve to obturator internusdeg (L5, Si, S2)Gamellus inferiorNerve to quadratus femorisdeg (L4, L5, Si)Obturator internusNerve to obturator internusdeg (L5, Si, S2)Quadratus femorisNerve to quadratus femorisdeg (L4, L5, S1)Obturator externusPosterior division of obturator nervedeg (L2, L3, L4)PiriformisVentral rami of S1 and S2